True about Apoptosis are all except:
1. Inflammation is present
2. Chromosomal brekage
3. Clumping of chromatin
4. Cell shrinkage

Correct answer: 1. Inflammation is present

Explanation: . Inflammation is present